Anaplasia in Wilm's tumor is evident by -
1. Increased mitosis
2. Pleomorphic nuclei
3. Large nucleus
4. All

Correct answer: 4. All

Explanation: Ans. is 'a' i.e., Increased mitosis; 'b' i.e., Pleomorphic nuclei;'c'i.e., Large nucleus o It is very simple. Anaplasia (anywhere) is characterized by :- i) Loss of polarity ii) Hyperchromasia iii) Increased nuclear cytoplasmic cell ratio (increased nucleus size) iv) Pleomorphism v) Increased number of mitosis which is atypical o The presence of anaplasia in Wilm's tumor correlated with underlyingp53 mutations and emergence of resistance to chemotherapy.